Chromosome of RH gene is located in
1. Ch1
2. Ch 3
3. Ch 6
4. Ch 9

Correct answer: 1. Ch1

Explanation: The Rh blood group antigens derive from 2 genes,RHD and RHCE, thatare located at chromosomal position 1p34.1-1p36 (chromosome 1, short arm, region 3, band 4, subband 1, through band 6). In whites, a cde haplotype with a deletion of the whole RHDgene occurs with a frequency of approximately 40%. Refer robbins